Intra ocular pressure rises in
1. Intubation & laryngoscopy
2. LMA
3. Infusion of IV propofol
4. Bag and mask ventilation

Correct answer: 1. Intubation & laryngoscopy

Explanation: Laryngoscopy and intubation of trachea can dramatically increase intraocular pressure to a value as high as 40mm Hg.Administration of intravenous lignocaine prior to intubation has been found to prevent an increase in IOPIOP changes with LMA insertion are less than those following tracheal intubation.(Refer: Morgan and Mikhail's Clinical Anaesthesiology, 5th edition, pg no 325-331)